Hallucinations which arises when a patient is falling asleep -
1. Hypnagogic hallucination
2. Hypnopompic hallucination
3. Non specific hallucinations
4. Jactatio nocturna capitis

Correct answer: 1. Hypnagogic hallucination

Explanation: Hallucinations just before falling asleep → hypnagogic hallucinations.
Hallucinations just before awakening →hypnopompic hallucinations.